False regarding Parasuicide?
1. Also known as attempted suicide
2. Mostly seen in psychological disturbances
3. Conscious, impulse, manipulative act to get rid of an intolerable situation
4. Hanging is the most common form

Correct answer: 4. Hanging is the most common form

Explanation: Also known as attempted suicide/ pseudocide. Mostly seen in psychological disturbances. Conscious, impulse, manipulative act to get rid of an intolerable situation. POISONING ( drug ingestion )is the most common form.